Silk Road disease is:
1. Behcet's syndrome
2. Giant cell arteritis
3. Henoch-Schonlein purpura
4. Wegener's granulomatosis

Correct answer: 1. Behcet's syndrome

Explanation: Behcet disease: high prevalence in countries along the Silk Road, extending from Japan to the eastern Mediterranean characterized by recurrent oral ulcerations, uveitis & skin abnormalities